Which of the following anaemias is a risk factor for the development of gastric carcinoma
1. Pernicious anaemia
2. Megaloblastic anaemia
3. Aplastic anaemia
4. Haemolytic anaemia

Correct answer: 1. Pernicious anaemia

Explanation: People with pernicious anaemia may have associated gastric polyp which can later present with Astrid carcinoma and the risk of development is about 6 times. Reference: internet and SRB edition 5 page no. 845.